Patient become symptom free after surgery in which of the following condition
1. Diffuse esophageal spasm
2. Achalasia cardia
3. Nut cracker esophagus
4. Jack hammer esophagus

Correct answer: 2. Achalasia cardia

Explanation: Achalasia cardia The classic triad of presenting symptoms of achalasia consists of dysphagia, regurgitation, and weight loss. Heartburn, postprandial choking, and nocturnal coughing are commonly seen. The dysphagia that patients experience often begins with liquids and progresses to solids. Most patients describe eating as a laborious process during which they must pay special attention to the process. They eat slowly and use large volumes of water to help wash the food down into the stomach. As the water builds up pressure, retrosternal chest pain is experienced and can be severe until the LES opens, which provides quick relief. Regurgitation of undigested, foul-smelling food is common, and with progressive disease, aspiration can become life-threatening. Pneumonia, lung abscess, and bronchiectasis often result from long-standing achalasia. The dysphagia progresses slowly during years, and patients adapt their lifestyle to accommodate the inconveniences that accompany this disease. Patients often do not seek medical attention until their symptoms are advanced and will present with marked distention of the esophagus.the operation of choice. It is done open or with video or robotic assistance. The decision to perform an antireflux procedure remains controversial. Most patients who have undergone a myotomy will experience some amount of reflux, either symptom- atic or not. The addition of a partial antireflux procedure, such as a Toupet or Dor fundoplication, will restore a barrier to reflux and decrease postoperative symptoms